Necrotizing granulomatous lymphadenopathy is caused by -
1. Syphilis
2. Granuloma inguinale
3. Sarcoidosis
4. All

Correct answer: 1. Syphilis

Explanation: Ans. is 'a' i.e., Syphilis . Important disease causing necrotizing granulomatous lymphadenopathy --> Syphilis, TB, Histoplasmosis, Coccidiomycosis.